Palmar erythema is seen in:
1. CCF
2. ARF
3. CRF
4. Hepatic failure

Correct answer: 4. Hepatic failure

Explanation: A symmetrical and slightly warm area of erythema on the thenar and hypothenar eminences of the palm in chronic liver disease patients is referred to as palmar erythema. Features of Palmar Erythema May have a mottled appearance or blanch when pressed. Not associated with pain, itch or scaling. May involve the palmar aspect of the fingers and proximal nail folds Causes of palmar erythema Primary causes Secondary causes Hereditary - rare Pregnancy - common Senile Chronic liver disease Autoimmune (e.g. Rheumatoid arthritis) Endocrine causes -Hyperthyroid Neoplastic